Which of the following is best to sterilize heat labile solutions?
1. Dry heat
2. Autoclave
3. Membrane filtration
4. Pasteurization

Correct answer: 3. Membrane filtration

Explanation: Heat sensitive liquids like serum, vaccines, antisera, enzymes, antibiotic solutions and urea solutions can be sterilized by using membrane filtration. The filtration can be aided by using either positive or negative pressure